A woman became pregnant after 1 month of taking MMR vaccine, although she was advised to avoid pregnancy. What advice should the doctor give to the patient?
1. Wait and Watch
2. Termination of pregnancy mandatory
3. Low risk,termination of pregnancy may be considered
4. High risk of anamolies,consideration for termination

Correct answer: 1. Wait and Watch

Explanation: In this case scenario, the doctor should advise the patient to wait and watch. The vaccine should not be administered during pregnancy. If pregnancy occurs within 28 days of immunization, the patient should be counseled on the theoretical risks for the fetus. Studies of over 200 women who had been inadvertently immunized with rubella vaccine during pregnancy showed that none of their offspring developed congential rubella syndrome. Therefore, termination of pregnancy is probably not warranted Reference: Ananthanarayan and Paniker's Textbook of Microbiology Tenth edition